Loss of Lamina dura is observed in
1. Hypothyroidism
2. Hypo Parathyroidism
3. Hyperthyroidism
4. Hyper Parathyroidism

Correct answer: 4. Hyper Parathyroidism